Fournier’s molars are seen in hypoplasia due to
1. Primary syphilis
2. Secondary syphilis
3. Congenital syphilis
4. All of the above

Correct answer: 3. Congenital syphilis